Indication of Acyclovir in pregnancy :
1. Disseminated herpes
2. Chicken-pox in first trimester
3. Prophylaxis in recurrent herpes
4. All of the above

Correct answer: 4. All of the above

Explanation: All of the above